Number of live birth per 1000 women in the reproductive age is:
1. Net reproductive rate
2. Total fertility rate
3. Gross reproduction rate
4. General fertility rate

Correct answer: 4. General fertility rate

Explanation: Ans. (d) General fertility rateRef : K. Park 23rd ed. / 488* General fertility rate is the annual number of live births per 1000 married women of child bearing age (15-49 years).* Total fertility rate average number of children born to a women in her reproductive life span.* Gross reproduction rate is total number of girl children born to a female. It is half of the TFR.* Net reproduction rate is total number of girl children born to a female, taking into account their mortality.